Treatment of severe ulnar neuritis in borderline tuberculoid leprosy is –
1. MDT only
2. MDT + steroid
3. Wait and watch
4. MDT + thalidomide

Correct answer: 2. MDT + steroid

Explanation: The pharmacological treatment for severe neuritis in leprosy involves elemination of infection by the organism with MDT and altering the immune response with steroid to prevent further nerve damage.
Neuritis implies pain in the affected nerve (or nerves) together with swelling and tenderness and carries a risk of disturbance of function depending on the type of nerve affected.
Steroids act by dispersing intraneural oedema and by doing so relieve pressure on nerve fibres. It is important to continue antileprosy drugs. (MDT)